Acute Pyogenic Meningitis true is/are -
1. Purulent exudates within leptomeninges
2. CSF cloudy with PMN
3. Causes ventricular enlargements.
4. All of the above

Correct answer: 4. All of the above